A body is brought to you for autopsy. The apparent cause of death is snake bite. On examination there is a haemorrhagic region surrounding a puncture mark over his left shoulder region. The area surrounding the puncture mark is necrosed and subsequent examination of his stomach contents and blood revealed that he had consumed significant amount of alcohol just prior to death. Since he is an officer working in a city you suspect foul play. Poisoning with which of the following resemble a viper snake bite?
1. Abrus precatorius
2. Calotropis
3. Capsicum annuum
4. Strychnine

Correct answer: 1. Abrus precatorius

Explanation: When extract of Abrus precatorius is injected subcutaneously there is painful swelling, inflammation, ecchymosis and necrosis of the surround tissue. The features may resemble that of viperine snake bite. Injection of 90 - 120 mg is fatal. Capsicum annuum is chilli powder. Strychnine produces features similar to tetanus. Ref: The Essentials of Forensic Medicine and Toxicology by Narayana Reddy, Edition 21, Page 479